Staphylococcal food poisoning includes the following feature-
1. Incubation period of 24 hrs
2. Requires immediate antibiotics
3. Common with dairy Products
4. Heat labile enterotoxin

Correct answer: 3. Common with dairy Products

Explanation: Staphylococcal food poisoning - Occurs after eating meat and fish, or milk and milk products or potato salad. Incubatory Period: 1-6 hr due to preformed toxin. Site of action: The toxin stimulates the vagus nerve and vomiting center of the brain. It also stimulates the intestinal peristaltic activity. Heat stable (not destroyed after heating food) Self-limited illness, symptoms generally resolves within 8 to 10 hrs. Treatments is symptomatic only No antibiotic is required. It resembles food poisoning caused by Bacillus cereus (emetic strain) with same incubation period of 1-6 hours but it is generally associated with reheated Chinese fried rice.